True about acute ITP –
1. Specific anti platelet antibodies detected
2. Viral infection predisposes as seen after vaccination
3. More common in children
4. All of these

Correct answer: 4. All of these

Explanation: Specific anti platelet antibodies detected; 'c' i.e., Viral infection predisposes as seen after vaccination; `e' i.e., More common in children Pathogenesis of ITP (immune thrombocytopenia)

Chronic ITP is caused by the formation of autoantibodies against platelet membrane glycoproteins most often 11b-Hla or Ib-IX.
Antibodies reactive with these membrane glycoprotein can be demonstrated in the plasma as well as bound to platelet surface in approximately 80% of the patients.


In overwhelming majority of cases the antiplatelet antibodies are of the IgG class.
The mechanism of platelet destruction is similar to that seen in autoimmune hemolytic anemias. Opsonized platelets are rendered susceptible to phagocytosis by the cells of the mononuclear phagocyte system.
The spleen is the major site of the destruction of platelets.

The differences between Acute & Chronic ITP are -